Wound healing is the summation of following processes except -
1. Coagulation
2. Matrix synthesis
3. Angiogenesis
4. Fibrolysis

Correct answer: 4. Fibrolysis

Explanation: Ans. is 'd' i.e., Fibrolysis